Most common manifestation of HPV infection in children -
1. Single papilloma
2. Multiple papillomatosis
3. Osteoma
4. Sarcoma

Correct answer: 2. Multiple papillomatosis

Explanation: Ans. is 'b' i.e., Multiple papillomatosis o Multiple was are common.